All of the following are features of absence seizures except:
1. Usually seen in childhood
2. 3-Hz spike wave in EEG
3. Postictal confusion
4. Precipitation by hyperventilation

Correct answer: 3. Postictal confusion

Explanation: Typical absence seizures are characterized by sudden, brief lapses of consciousness without loss of postural controlThe seizure typically lasts for only seconds, consciousness returns as suddenly as it was lost, and there is no postictal confusion.Onset usually in childhood (ages 4-8 years) or early adolescenceThe electrophysiologic hallmark of typical absence seizures is a generalized, symmetric, 3-Hz spike-and-wave discharge that begins and ends suddenly, superimposed on a normal EEG background.Harrison 19e pg: 2543